Emphysema aquosum is associated with?
1. Dry drowning
2. Wet drowning
3. Immersion syndrome
4. Secondary drowning

Correct answer: 2. Wet drowning

Explanation: Emphysema aquosum is a sign of wet drowning. Drowning fluid actually penetrates alveolar walls to enter the tissues and the blood vessels. This has been described as emphysema aquosum. Cause of death in wet drowning: Disruption of pulmonary surfactant Dry drowning: Water does not enter the lungs, but death results from: Immediate sustained laryngeal spasm Cardiac arrest due to vagal inhibition